Which of the following is an increased risk of breast cancer?a) Sclerosing adenosisb) Atypical hyperplasiac) Fibroadenomad) Florid hyperplasia
1. c
2. d
3. bd
4. ac

Correct answer: 3. bd